Counter transference is:
1. A Type of defense mechanism
2. Psychic connection between patient and disease with transfer of psychic energy from body parts to brain
3. Implies doctor's feelings towards patient
4. Patient's feelings towards doctor during psychotherapy

Correct answer: 3. Implies doctor's feelings towards patient

Explanation: Transference - feeling that patient develop for doctor based on the real feelings towards that doctor combined with the feelings for other doctors in the past. Counter transference - feeling that doctor develop for patient based on the real feelings towards that patient combined with the feeling for other patients from the past.